Nerve injured in anterior dislocation of shoulder -
1. Radial
2. Axillary
3. Long thoracic
4. Median

Correct answer: 2. Axillary

Explanation: Ans. is 'b' i.e., Axillary o Injury to the axillary (circumflex) nerve is the most common complication (5-30%).Complications of anterior dislocationo Anterior dislocation of shoulder may have following complications.Injury to the axillary (circumflex) nerve is the most common complication (5-30%)Occasionally other branches of brachial plexus are damaged especially the posterior cord.Occasionally axillary artery may be damaged especially if the vessel is athromatous or it may damage during attempted late reduction.Associated fractures like greater tuberosity.Recurrent dislocation.o The most common complication of anterior dislocation of shoulder is axillary' (circumflex) nerve injury'. There is consequent paralysis of the deltoid muscle, with a small area of anaesthesia at the lateral aspect ofthe upper arm.